Saffron colored meconium is seen in:
1. Postmaturity
2. TB
3. Breech
4. Normal in appearance

Correct answer: 1. Postmaturity

Explanation: Ans. is a, i.e. PostmaturityRef. Dutta Obs. 9/e, p 34Color of amniotic fluidPregnancy - ColorlessNear term - Pale straw colored due to presence of exfoliated lanugo hairs and epidermal cells from the fetal skin.Abnormal color-Green - meconium stained (fetal distress in conditions other than breech or transverse position).-Golden yellow - Rh-incompatibility.-Greenish yellow (saffron) - postmaturity.-Dark colored - in concealed hemorrhage.-Dark brown (tobacco juice) - in case of IUD.